Wrist drop is due Which Palsy?
1. Radial nerve palsy
2. Posterior Interossues berve injury
3. Ulnar nerve palsy
4. Carpal Tunnel Syndrome

Correct answer: 1. Radial nerve palsy

Explanation: Ans. is 'a' i.e., Radial nerve palsy Effects of nerve palsyFeatureNerve injuredWrist dropRadial nerveFoot DropCommon peroneal nerveClaw handUlnar nerveApe thumbMedian nerve